Filgrastim is a.
1. T-cell stimulating factor
2. GnRH analogue
3. G-CSF
4. GM-CSF

Correct answer: 3. G-CSF

Explanation: Filgrastim is a recombinant G-CSF. From medical pharmacology padmaja 4th edition Page no 333